All of the following are related to plague except ?
1. Aedes aegypti index
2. Total flea index
3. Burrow index
4. Cheopis index

Correct answer: 1. Aedes aegypti index

Explanation: Ans. is 'a' i.e., Aedes aegypti index Aedes aegypti index is used for yellow fever. In plague, flea indices are used. Flea indices Flea indices are useful measurments of the density of fleas. They are also useful in evaluating the efectiveness of a spraying programme. The following indices are widely used in rat flea surveys : - Total flea index-It is the average number of fleas of all species per rat. Cheopis index - It is the average number of X. cheopis per rat. It is a specific flea index, so it is a more significant index than total flea index. If this index is more than one, it is regarded as indicative of potential explosiveness of the situation, should a plague outbreak occur. Specific percentage of fleas- It is the percentage of different species of fleas that are found on rats. Burrow index - It is the average number of free - living fleas per species per rodent burrow.